The cause of breech :
1. Hydramnios
2. Septate uterus
3. Hydrocephalus
4. All

Correct answer: 4. All

Explanation: All